Dexmedetomidine acts on which receptor for its analgesic action ?
1. 5HT2A
2. D2
3. a2A
4. D5

Correct answer: 3. a2A

Explanation: Ans. is'c' i.e., a2ADexmeditomidine is centrally active selective alpha (a2) agonist that has been introduced for sedating critically iil ventilated patients in intensive care units.